Exceptions for informed consent are the following, except
1. Therapeutic privilege
2. Emergency doctrine
3. Therapeutic waiver
4. Therapeutic misadventure

Correct answer: 4. Therapeutic misadventure

Explanation: Exceptions for informed consent: Therapeutic privilege Emergency doctrine Therapeutic waiver Loco parentis Ref: FORENSIC MEDICINE AND TOXICOLOGY Dr PC IGNATIUS THIRD EDITION PAGE 385